"Lead time" refers to the time between
1. Disease onset and final critical diagnosis
2. Disease onset and final possible point of detection
3. First possible point of detection and final critical diagnosis
4. First possible point of detection and usual time of diagnosis

Correct answer: 4. First possible point of detection and usual time of diagnosis

Explanation: LEAD TIME is the advantage gained by screening, i.e., the period between diagnosis by early detection and diagnosis by other means. It is an important factor when evaluating the effectiveness of a specific test. Ref: 25th edition, Park's Textbook of Preventive and Social Medicine, Page no. 148